Which of the following type of cells are NOT found in stomach?
1. Chief cells
2. Parietal cells
3. Argentaffin cells
4. Goblet cells

Correct answer: 4. Goblet cells

Explanation: Cardia and pyloric region of the stomach consist of glands which secretes mucus and body of the stomach including the fundus consist of parietal cells and chief cells. Goblet cells are found in the epithelium lining the small intestine.The parietal cell secretes hydrochloric acid and are located the middle and basilar portion of the gastric glands.Chief cells or zymogen cells are found near the base of the gastric glands. They synthesize and secrete pepsinogen.Enteroendocrine (argentaffin) cells secrete different neuropeptides and regulatory molecules. Gastrin producing G cells are found in the antrum, enterochromaffin cells secreting serotonin, substance P or motilin are found throughout the gastric mucosa, glucagon secreting A cells are found in the proximal third of the stomach and somatostatin secreting D cells are found in the upper third of stomach and antrum.